Cvek pulpotomy refers to:
1. Partial pulpotomy
2. Cervical pulpotomy
3. Glutaraldehyde pulpotomy
4. Formocresol pulpotomy

Correct answer: 1. Partial pulpotomy